Malignantchangeinachoroidalnevusisevidenced by:
1. Increased pigmentation or height of the nevus
2. Appearance of orange patches of lipofusin over the surface
3. Appearance of serous detachment in the area of nevus
4. All of the above

Correct answer: 4. All of the above

Explanation: Ans. All of the above